" Phossy jaw" is caused by
1. Lead
2. Mercury
3. Phosphorus
4. Arsenic

Correct answer: 3. Phosphorus

Explanation: Chronic Phosphorus Poisoning (Phossy Jaw/Glass Jaw/Lucifer's Jaw) : Due to inhalation of fumes over years. Tooth ache (earliest symptom) & swelling of the jaw Loosening of the teeth & Necrosis of lower jaw Sequestration of bone in the mandible & multiple sinuses discharging foul-smelling pus.